The encircled number in the given instrument formula represents 10-(80)-6-12
1. Width of the blade
2. Length of the blade
3. Angulation of the blade to the long axis
4. Angulation of the cutting edge of blade to the long axis

Correct answer: 4. Angulation of the cutting edge of blade to the long axis